Recommendation of shrivasthava committee was –
1. Abolition of private practice
2. Creation of multipurpose health workers
3. Creation of PHC
4. All of above

Correct answer: 2. Creation of multipurpose health workers

Explanation: Shrivastava committee recommendations 

The recommendation of Shrivastava committee : -


Creation of bands of para-professional and semiprofessional health workers from within the community itself (e.g., school teachers, gram sevaks, postmasters) to provide, simple primitive, preventive and curative health services needed by the community.
Establishment of 2 cadres of health workers, multipurpose workers and health assistants between level workers and doctors at the PHC.
Development of a "referral services complex" by establishing proper linkages between the PHC and higher level referral and service centers, e.g., taluka/tehsil, district, regional and medical college hospitals.
Establishment of medical and health education commission for planning and implementing the reforms needed in health and medical education on the lines of university Grants commission.


Rural health scheme was also recommended by Shrivastava committee.
Note :
Concept of multipurpose workers was introduced by Kartar Singh committee.